All are amides except
1. Lignocaine
2. Ropivicaine
3. Bupvicaine
4. Procaine

Correct answer: 4. Procaine

Explanation: Procaine